An 8 year old female patient complains of pain and bleeding in  upper front teeth region and gives a history of fall while playing 30 minutes ago. Patient found the avulsed tooth on the ground. Intra-oral examination reveals bleeding and avulsion of maxillary right central incisor. Which of the following is not an appropriate option in the management of this patient?
1. If the tooth is dirty, wash it briefly (10 seconds) under cold running water
2. Find the tooth and pick it up by the root
3. Encourage the patient/parent to replant the tooth
4. If repositioning is not possible, place the tooth in a suitable storage medium

Correct answer: 2. Find the tooth and pick it up by the root

Explanation: If a parent calls to report that a tooth has been avulsed, and it can be determined that the injury is without other oral,  neurologic,  or  higher-priority  physical  complications, the dentist may instruct the parent to do the following (primary teeth should not be replanted) :    
 1.   Keep the patient calm.
 2.   Find the tooth and pick it up by the crown (the white part). Avoid touching the root.
 3.   If the tooth is dirty, wash it briefly (10 seconds) under cold running water and reposition it. Try to encourage the patient/parent to replant the tooth. Bite on a handkerchief to hold the tooth in position.
 4.   If repositioning is not possible, place the tooth in a suitable storage medium (see below).
 5.   Seek emergency dental treatment immediately, unless the patient was knocked unconscious. If the child was unconscious for a period of time, first seek emergency medical evaluation for a concussion.